True about polio:
1. Paralytic polio is most common
2. Spastic paralysis seen
3. IM injections and increased muscular activity lead to increased paralysis
4. Polio drops in pulse polio immunisation given only in <3 years old children

Correct answer: 3. IM injections and increased muscular activity lead to increased paralysis

Explanation: False 90-95% of polio infections are asymptomatic False Acute flaccid paralysis is seen in Polio & not spastic paralysis True Risk of paralytic polio is increased by tonsillectomy, strenous physical exercise, tooth extraction,Injection (intramuscular) False OPV drops are given to all children less than 5 yr age in pulse polio immunisation